Definition of Public health was given by
1. Henry Sigerist
2. Rudolph Virchow
3. CEA Winslow
4. Grotjahn

Correct answer: 3. CEA Winslow

Explanation: CEA Winslow gave the most comprehensive & widely accepted definition for public health which states as "The science and art of preventing disease, prolonging life and promoting physical health and efficiency through organized community efforts for the sanitation of the environment, the control of community infections, the education of the individual in principles of personal hygiene, the organization of medical and nursing services for the early diagnosis and preventive treatment of diseases and the development of social machinery which will ensure to every individual, in the community, a standard of living adequate for maintenance of health". Ref: Text book on Public Health and Community Medicine pg: 7